Average reproductive life span of ovum is
1. 6-12 hrs
2. 12-24 hrs
3. 24-26 hrs
4. 48 hrs

Correct answer: 2. 12-24 hrs

Explanation: LH surge occurs ~ 36 hours before ovulation LH peak occur ~ 12 hours before ovulation & marks the release of Ist polar body. This mature oocyte (ovum) remain viable for fertilization for ~ 24 hours.